Sign of antemortal hanging is?
1. Dribbling of saliva
2. Ligature mark
3. Fracture of hyoid bone
4. Seminal emission

Correct answer: 1. Dribbling of saliva

Explanation: ANSWER: (A) Dribbling of salivaREF: Parikh 6th edition page 3.44 Antemortem hangingPostmortem hangingMotiveUsually suicidal (Homicidal only in Lynching)HomicidalLigature markWell developed with parchment like base and is yellow or brownNot well developedSalivaDribbling of saliva presentAbsentInjuriesNo other injuries seenOther injuries causing death seenSigns of asphyxiaPresentAbsentCircumstantialevidenceClosed room No signs of struggleSigns of struggle presentDrag marks on bodyMaybe seenNot seenSuicide noteMay or may not be presentNever presentRope fibresMay be seen in the handsNot seen